Trichophyton species can infect
1. Skin, hair and nail
2. Skin and nail
3. Hair and nail
4. Skin and hair

Correct answer: 1. Skin, hair and nail

Explanation: Trichophyton - hair, skin and nail. Microsporum- hair and skin. Epidermophyton- skin and nail. Reference: Textbook of Microbiology; Baveja; 4th edition .